Most important principle during extraction:
1. Least trauma to bone while extracting whole tooth out
2. Least trauma to mucosa while extracting the whole tooth out
3. Least trauma to both bone and mucosa while extracting the tooth in pieces
4. None of the above

Correct answer: 3. Least trauma to both bone and mucosa while extracting the tooth in pieces